Myopathy is seen in all except -
1. X-linked hypophosphatemic rickets
2. Oncogenic osteomalacia
3. Nutritional osteomalacia
4. Cushing syndrome

Correct answer: 1. X-linked hypophosphatemic rickets

Explanation: Ans. is 'a' X-linked hypophosphatemic rickets MYOPATHY o Myopathy referres to any skeletal muscle disease that causes structural changes or functional impairment of muscle. CAUSES OF MYOPATHY Congenital myopathy o Central core disease o Nemaline myopathy o Myotubular (centronuclear) myopathy Endocrine and metabolic myopathy o Hypothyroidism, Hyperthyroidism o Acromegaly o Hyperparathyroidism, Hypoparathyroidism o Diabetes mellitus o Cushing's syndrome o Vitamin D deficiency --> osteomalacia Channelopathies o Hypokalemic, hyperkalemic and normokalemic periodic paralysis Inflammatory myopathies o Dermatomyositis o Polymyositis o Inclusion body myositis Myopathies associated with inborn errors of metabolism o Lipid myopathy o Mitochondrial myopathies (oxidative phosphorylation myopathy) Toxic myopathy o Ethanol o Chloroquine o Steroids o Lipid lowering agents Muscular dystrophies o Duchenne and Becker o Facio-scapulo-humeral o Myotonic o Limb girdle o Oculopharyngeal